A person is on intensive chemotherapy; which vaccine is contraindicated in this circumstance?
1. MMR
2. Hepatitis B
3. Pneumococcus
4. DPT

Correct answer: 1. MMR

Explanation: Park's textbook of preventive and social medicine 23 edition. *Measles and MMR should not be administered on those on treatment with high dose steroids, alkylating agents or anti metabolites or under immunosuppressive therapeutic radiation.